The father of joint replacement surgery is- DELETE
1. Manning
2. Gridlestone
3. Charnley
4. Ponseti

Correct answer: 3. Charnley

Explanation: *Father of the modern hip replacement is professor Sir John Charnley (1911-82).